Lucid interval is a characteristic pathognomonic feature of\
1. Extradural haemorrhage
2. Intracerebral haemorrhage
3. Tumour in the frontal lobe
4. Intracerebral abscess

Correct answer: 1. Extradural haemorrhage

Explanation: (A) Extradural haemorrhage # Extradural haemorrhage.> It is a period in which person is liable for acts> Lucid interval is a period occurring in insanity, during which all the symptoms of insanity disappear completely. The individual is able to judge his acts soundly and he becomes liable for his acts.> If he commits an offense, he can be held completely responsible.> Because it is very difficult to whether he was suffering from mental aberration at the time of commit the offence.